Anti-vertigo   drug which modulates  calcium   channels and has prominent labyrinthine suppressant property is:
1. Cyproheptadine
2. Cinnarizine
3. Clemastine
4. Cetrizine

Correct answer: 2. Cinnarizine